Which is NOT a clinical feature of Addison's disease -
1. Hypoglycemia
2. Hyponatremia
3. Hypocalcemia
4. Hyperkalemia

Correct answer: 3. Hypocalcemia

Explanation: there is no hypocalcemia , there is weakness and fatiguability , hyperkalemia , hyponatremia, hypotension, hypoglycemia( Harrison 17 pg 2263)